Pulse echo principle is used by which modality?
1. USG
2. CT
3. X-ray
4. MRI

Correct answer: 1. USG

Explanation: Pulse Echo Technique is used in Ultrasound, which short-duration Ultrasound pulses are transmitted into the region to be studied, and Echo signals resulting from scattering and reflection are detected and displayed. The depth of a reflective structure is inferred from the delay between pulse transmission and echo reception. CT scan is based on Linear Attenuation of X Rays. MRI is based on Gyromagnetic property of H+ ions.